Definition of Nosocomial infection includes -
1. Infection within 24 hours of admission
2. Infection within 48 hours of admission
3. Infection 40 days after discharge
4. Infection within 30 days after discharge

Correct answer: 4. Infection within 30 days after discharge

Explanation: Ans. is 'd' i.e., Infection within 30 days after discharge * The term hospital infection, hospital-acquired infection or nosocomial infection are applied to infections developing in hospitalized patients, not present or in incubation at the time of their admission.* Such infections may become evident during their stay in hospital or, sometimes, only after their discharge.* Infections are considered nosocomial if they first appear 48 hours or more after hospital admission or within 30 days after discharge.